True about nephrogenic rest -a) Associated with Wilm's tumorb) Increased risk of Wilm's tumor in contralateral kidneyc) No association with Wilm's tumord) Abnormal embryonal renal tissue
1. acd
2. bcd
3. abd
4. ab

Correct answer: 3. abd

Explanation: Nephrogenic rest

Nephrogenic rest is afragment of embryonic tissue in the kidney retained after the period of embryonic development.
Nephrogenic rests are putative precursor lesions of Wilm's tumor and are seen in the renal parenchyma adjacent to approximately 40% of unilateral tumors; this frequently rises to nearly 100% in cases of bilateral Wilm's tumor.
The appearance of nephrogenic rests varies from expansile masses that resemble Wilm's tumor (hyperplastic rests) to sclerotic rests consisting predominantly of fibrous tissue and occasional admixed immature tubules or glomeruli.
It is important to document the presence of nephrogenic rests in the resected specimen, since these patients are at an increased risk of developing Wilm's tumor in the contralateral kidney and require frequent and regular surveillance for many years